Cochleate uterus is ?
1. Large uterus
2. Acute anteflexion
3. Acute retroflexion
4. Large cervix

Correct answer: 2. Acute anteflexion

Explanation: Ans. is 'b' i.e., Acute anteflexion Cochleate uterus is acutely anteflexed uterus with pin hole os.It is a small adult uterus with a conical cervix and a body that is small, globular and acutely flexed.It can cause primary dysmenorrhea.